Which one of the following statements is false regarding vincristine -
1. It is an alkaloid
2. Its use is associated with neurotoxicity
3. It does not cause alopecia
4. It is a useful drug for induction of remission in acute lymphoblastic leukaemia

Correct answer: 3. It does not cause alopecia

Explanation: Ans. is 'c' i.e., It does not cause alopecia o Vincristine belongs to the plant alkaloid group of anticancer. o Useful for inducing remission in childhood ALL (not useful in maintenance therapy) o It can also be used for pediatric solid tumors (Wilm's tumor, neuroblastoma, rhabdomyosarcoma) and lymphomas. o Prominent adverse effects? o Peripheral neuropathy Alopecia SIADH